Regarding spleen, true is:
1. Arises from ventral mesogastrium
2. Inferior border is notched
3. Axis of spleen lies along 9th rib
4. Derives its nerve supply from celiac plexus

Correct answer: 4. Derives its nerve supply from celiac plexus

Explanation: Ans. (d) Derives its nerve supply from celiac plexus* Derived from Dorsal mesogastrium* Superior border is notched* Coeliac plexus is the nerve supply* Phrenic colic ligament prevents downward displacement* Lieno renal ligament contains Splenic Vessels.* Gastro splenic contains the Short gastric vessels